Following are the post mortem findings in carbon monoxide poisoning except ?
1. Froth at mouth and nose
2. Blue skin discoloration
3. Basal ganglia cavitation
4. Congested lungs

Correct answer: 2. Blue skin discoloration

Explanation: Ans. is 'b' i.e., Blue skin discoloration Postmortem findings of CO-poisoning Fine froth at mouth and nose. Bright cherry red discolouration of skin, mucous membranes, nail-beds, blood, tissues and internal organs. Cyanide poisoning and exposure to cold causes similar redness. Blood is fluidish thin, hyperemia (congestion) is general, and serous effusion are common. Skin blisters or red patches due to hypoxia in areas that contact the ground or appositional skin e.g. axilla, inner thigh, buttock, calves, knee. Lungs show congestion with pink fluid blood, followed by pulmonary edema and bronchopulmonary consolidation. Pleural and pericardial anoxic haemorrhage, tiny focal necroses in myocardium are late changes (5 days). Bilateral symmetrical necrosis and cavitation of basal ganglia (esp globus pallidus and putamen) is most characteristic feature in delayed deaths (prolonged hypoxia) may be confused with PM finding of parkinsons patient. Although cerebral cortex, cerebellum, hippocampus and substantia nigra of brain stem may also be affected. Ring shaped punctiform haemorrhage in white matter, wide spread brain oedema, punctate haemorrhage in meninges, cortex and cellular necrobiosis of ganglionic cells in cortex are other features. Spectroscopic examination, Hoppe - Seyler's test (10% NaOH), kunkel's (tannic acid) test and adding water (15 ml) in 2 drops of blood can detect CO.